Nutmeg liver occurs in:
1. Chronic venous congestion
2. Hyperaemia of liver
3. Hepatic thrombosis
4. Acute hepatic congestion

Correct answer: 1. Chronic venous congestion

Explanation: Ans: a (Chronic venous congestion) Ref: Robbins, 7th ed, p.122In chronic venous congestion of the liver, the central regions of hepatic lobules are grossly red brown & depressed (due to loss of cells) and are accentuated against the surrounding zones of uncongested tan liver giving the characteristic appearance of nutmeg liver.HyperaemiaCongestionActivePassiveIncreased inflow due to arteriolarImpaired outflowDilatation Tissue bright redTissue blue redChronic passive congestion in -* Lungs -Heart failure cells (Hemosiderin laden macrophages) in alveolar spaces- Brown induration (Fibrosis + Hemosiderin pigmentation)* Liver - Nutmeg liverSpleen- Siderofibrotic nodulesBrown induration of lung - HemosiderinBrown induration of liver - Lipofuschin